Psychogenic amnesia is characterized by -a) Antegrade amnesiab) Retrograde amnesiac) Both with confabulationd) Patchy impairment of personal memories
1. c
2. d
3. bd
4. ac

Correct answer: 3. bd

Explanation: Dissociative amnesia is characterized by retrograde amnesia. There is inability to recall personal events during circumscribed period which creates gaps in the individuals personal memory (Patchy memory loss).